Power of chief judicial magistrate is imprisonment up to -
1. 7 years
2. 5 years
3. 3 years .
4. Death sentence

Correct answer: 1. 7 years